Commando operation describes
1. Maxillectomy, Neck Dissection, Omohyoid muscle removal
2. Mandibulectomy, Neck Dissection, Omohyoid muscle removal
3. Mandibulectomy, Neck dissection, Oropharyngeal resection
4. Ombined maxillectomy and mandibulectomy

Correct answer: 3. Mandibulectomy, Neck dissection, Oropharyngeal resection